All belong to Picorna viruses except -
1. Enterovirus 70
2. Coxsackie virus
3. Rhinovirus
4. Herpes simplex virus

Correct answer: 4. Herpes simplex virus

Explanation: General of picornavirus are a)enterovirus, rhinovirus, hepatovirus,parechovirus REF:ANANTHANARYANAN TEXTBOOK OF MICROBIOLOGY 9EDITION PGNO.484